In gastric outlet obstruction in a peptic ulcer patient, the site of obstruction is most likely to be
1. Antrum
2. Duodenum
3. Pylorus
4. Pyloric canal

Correct answer: 2. Duodenum

Explanation: The common complications of peptic ulcer are perforation, bleeding and stenosis.The most common site for a peptic ulcer is the first part of the duodenum.The most common site of bleeding from a peptic ulcer is the posterior aspect of the duodenum. Gastroduodenal artery is the common source ofmajor bleeding.The most common site of perforation is the anterior aspect of the duodenum.Bailey and Love 27e pg: 1127